. Urinary cytology is a useful screening test for the dignosis of -
1. Renal cell carcinoma
2. Wilm's tumour
3. Urothelial carcinoma
4. Carcinoma prostate

Correct answer: 3. Urothelial carcinoma